Which of the following is NOT true about Cutaneous calciphylaxis?
1. Potentially lethal condition
2. Exemplifies dystrophic calcification
3. Characterized by progressive cutaneous vascular calcification
4. Includes increased calcium, phosphate, and parathor- mone patients with chronic renal failure

Correct answer: 2. Exemplifies dystrophic calcification

Explanation: Ans. b (Exemplifies dystrophic calcification). (Ref. Harrison's medicine 18th/pg. Ch. 280)'In calcinosis cutis there are firm white to white-yellow papules with an irregular surface. When the contents are expressed, a chalky white material is seen. Dystrophic calcification is seen at sites of previous inflammation or damage to the skin. It develops in acne scars as well as on the distal extremities of patients with scleroderma and in the subcutaneous tissue and intermuscular fascial planes in DM. The latter is more extensive and is more commonly seen in children. An elevated calcium phosphate product, most commonly due to secondary hyperparathyroidism in the setting of renal failure, can lead to nodules of metastatic calcinosis cutis, which tend to be subcutaneous and periarticular. These patients can also develop calcification of muscular arteries and subsequent ischemic necrosis (calciphylaxis).Calciphylaxis (calcific uremic arteriolopathv)# It is a devastating condition seen almost exclusively in patients with advanced CKD.# It is heralded by livedo reticularis and advances to patches of ischemic necrosis, especially on the legs, thighs, abdomen, and breasts. Pathologically, there is evidence of vascular occlusion in association with extensive vascular and soft tissue calcification.# It appears that this condition is increasing in incidence. Originally it was ascribed to severe abnormalities in calcium and phosphorus control in dialysis patients, usually associated with advanced hyperparathyroidism. However, more recently, calciphylaxis has been seen with increasing frequency in the absence of severe hyperparathyroidism.# Other etiologies have been suggested, including the increased use of oral calcium as a phosphate binder. Warfarin is commonly used in hemodialysis patients, and one of the effects of warfarin therapy is to decrease the vitamin K- dependent regeneration of matrix GLA protein. This latter protein is important in preventing vascular calcification. Thus, warfarin treatment is considered a risk factor for calciphylaxis, and if a patient develops this syndrome, this medication should be discontinued and replaced with alternative forms of anticoagulation.